AV nodal delay is
1. 0.2 sec
2. 0.13 sec
3. 0.01 sec
4. 0.3 sec

Correct answer: 2. 0.13 sec

Explanation: AV nodal delay- 0.10 to 0.13 sec